CSF in T1 weighted MRI gives following appearance-
1. Hypointense
2. Hyperintense
3. Isointense
4. None

Correct answer: 1. Hypointense

Explanation: Ans. is 'a' i.e., Hypointense MRI of tissues and body fluidsTissue/Body fluidExamplesT1 weighted signalT2 weighted signalGasAir in lung, Gas in bowelAbsentAbsentMineral-rich tissueCortical bone, CalculiAbsentAbsentCollagenous tissueLigaments, tendons, Fibrocarti-lage,Scar tissueLowLowFatAdipose tissue, fatty bone marrowHighIntermediate to highHigh bound water tissueLiver, pancreas, adrenal, muscle, hyaline cartilageLowLow to intermediateHigh free water tissueKidney, testes, prostate, seminal vesicles, ovary, thyroid, spleen, penis, simple cyst, urinary bladder, gall bladder.LowHighFluidEdema, Urine, Bile, CSFLowHighProteinaceous fluidComplicated cyst, abscess, synovial fluid, nucleus pulposusIntermediateHighHemorrhageHyperacute I. ArterialLowHighII. VenousLowHigh Less bright than arterialAcuteLowLowChronicHighHigh